For a dental hand instrument with a formula of 10-8.5-8-14, the number 10 refers to ________.
1. The width of the blade in tenths of a millimeter
2. The primary cutting edge angle in centigrades
3. The blade length in millimeters
4. The blade angle in centigrades

Correct answer: 1. The width of the blade in tenths of a millimeter

Explanation: The ﬁrst number is the width of the blade or primary cutting edge in tenths of a millimeter (0.1  mm). 
The second number of a four-number code indicates the primary cutting edge angle, measured  from a line parallel to the long axis of the instrument handle in clockwise centigrades. The angle is  expressed as a percent of 360 degrees. The instrument is positioned so that this number always  exceeds 50. If the edge is locally perpendicular to the blade, then this number is normally omitted,  resulting in a three-number code. 
The third number (second number of a three-number code)  indicates the blade length in millimeters. 
The fourth number (third number of a three-number code)  indicates the blade angle, relative to the long axis of the handle in clockwise centigrades.

Sturdevants operative dentistry 7th edition page e2